True about bone tumor is:
1. Multiple myeloma is seen in more than 55 years age and above
2. Osteogenic sarcoma-fourth decade
3. Chondrosarcoma -first decade
4. Osteoclastoma- fifth decade

Correct answer: 1. Multiple myeloma is seen in more than 55 years age and above

Explanation: AGE Tumors 1st Decade Ewing's sarcoma (Can be 5-20 years), Unicameral Bone Cyst Retinoblastoma Rhabdomyosarcoma Metastasis from Neuroblastoma 2nd Decade Osteosarcoma (Can affect all ages) Aneurysmal Bone Cyst Giant cell tumor (20-40 years-classical is 30 years) Adamantinoma Enchondroma After 40Yrs Multiple myeloma >Chondrosarcoma. Note: Ewing's sarcoma is commonest bone tumor of 1st decade but its peak incidence is 2nd decade.